G3P2L2 with previous 2 LSCS comes to OPD with placenta near os. Which of the following is a greater risk among the following for this patient?
1. Abruption
2. Vasa praevia
3. Adherent placenta
4. Preterm birth

Correct answer: 3. Adherent placenta

Explanation: The presence of placenta praevia and previous 2 lscs greatly increase the risk of the adherent placenta. The other risk factors for adherent placenta areHistory of uterine surgery like myomectomyD&CEndometrial ablationHistory of pelvic irradiationAge more than 35InfertilityHysteroscopic removal of adhesions